All of the following are examples of mydriatics except –
1. Atropine
2. Homatropine
3. Tropicamide
4. Pirenzepine

Correct answer: 4. Pirenzepine

Explanation: Cycloplegics (paralysis of accommodation + mydriasis) → Atropine, Homatropine, Cyclopentolate, tropicamide
Only mydriatics → Phenylephrine.

Note : Cycloplegic action of tropicamide is unreliable.